Drug of choice for chemoprophylaxis in meningococcal meningitis is -
1. Tetracycline
2. Rifampicin
3. Streptomycin
4. Erythromycin

Correct answer: 2. Rifampicin

Explanation: chemoprophylaxis of meningococcal meningitis:- Close contacts of persons with confirmed meningococcal disease are at an increased risk of developing meningococcal illness. Antibiotics are effective in preventing additional cases through eradicating carriage of invasive strain. In outbreaks involving limited population,those with direct prolonged contact with a case of meningococcal disease may also be offered clearance treatment. Ideally treatment should start within 24 hours of identification of index case. Antibiotics effective for this purpose include rifampicin, ciprofloxacin, ceftriaxone or azithromycin. Mass chemoprophylaxis: Mass medication of total population some of which are not infected. Mass treatment causes an immediate drop in incidence of meningitis and in the proportion of carriers. The drugs of choice are ciprofloxacin, minocycline, spiramycin and ceftriaxone. {Reference: park's textbook of preventive and social medicine, 23rd edition, pg no.167}